True about cystic hygroma
1. Present in anterior triangle of neck
2. Sclerosing agents are not useful
3. Pre-operative MRI is crucial
4. Surgery is always indicated

Correct answer: 3. Pre-operative MRI is crucial